Endodermal sinus tumor is associated with
1. Schiller dual body
2. Multinucleate giant cells
3. R-S cells
4. Plasma cells

Correct answer: 1. Schiller dual body

Explanation: Ans-A i.e. Schiller Duval body Endodermal sinus tumor (yolk sac tumor)This tumor is rare but it is the second most common malignant tumor of germ cell origin.It is thought to be derived from differentiation of malignant germ cells towards extraembryonic yolk sac structure.Similar to the yolk sac the tumor is rich is a fetoprotein and antitrypsin.9 The characteristic histological feature of yolk sal tumor is Schuller Duval body.Schiller Duval body is a glomerulus like structure composed of central blood vessel enveloped by germ cells within a space lined by germ cells. Also, know Call Exner bodyReinke's crystalSignet ring cellsHobnail cellsPsammoma bodies-----Granulosa cell tumorHills a cell tumorKrukenberg tumorClear cell carcinomaPapillary serous cystadenoma of the ovary.